In a lady of 32 weeks pregnancy injection dexamethasone is to given to prevent:
1. Respiratory distress syndrome
2. Neonatal convulsions
3. Neonatal jaundice
4. Cerebral palsy

Correct answer: 1. Respiratory distress syndrome

Explanation: Injection dexamethasone is given to accelerate lung maturity in all pregnancies at risk of preterm labour between 28 and 35 weeks. Thus it gives relief from respiratory distress syndrome. (Sheila TB of obstetrics 2nd edtn pg 572)